An anti–hypertensive drug that causes positive Coomb's test is:
1. Methyldopa
2. Clonidine
3. Hydralazine
4. Sodium–nitropruside

Correct answer: 1. Methyldopa